Reflux Nephropathy with protenuria in the nephrotic range may be seen in patients with :
1. Membranous glomerulonephritis
2. Focal segmental Glomerulosclerosis
3. Nodular glomerulosclerosis
4. Crescenteric glomerulonephritis

Correct answer: 2. Focal segmental Glomerulosclerosis

Explanation: Answer is B (Focal segmental Glomerulosclerosis): Focal segmental glomerulosclerosis may develop following acquired loss of nephrons from reflux nephropathy. Proteinuria is nonselective in most cases and may be in subnephrotic range (nephritic range < 3.0 g/24h) or nephrotic range. - Harrison Association of Reflux Nephropathy and protein aria suggests an irreversible glomerular lesion most commonly focal segmental glomerulosclerosis : Medline